A 50 year old male presents with malignant hypertension. The drug of choice is:
1. Sodium nitroprusside
2. Sublingual nifedipine
3. Furosemide
4. Enalapril

Correct answer: 1. Sodium nitroprusside